Modified shock index is
1. Heart rate/ systolic BP
2. Heart rate/ Diastolic BP
3. Heart rate/ Mean arterial pressure
4. None of the above

Correct answer: 3. Heart rate/ Mean arterial pressure